Diarrhoea in AIDS can be caused by all of the following organisms, EXCEPT:
1. Mycobacterium
2. Cryptosporidium
3. Cytomegalovirus
4. None of the above

Correct answer: 4. None of the above

Explanation: Common enteric pathogens often cause a more severe and protracted diarrheal illness in persons with AIDS. Opportunistic infections causing diarrhoea in AIDS: Mycobacterium species Viruses (cytomegalovirus, adenovirus, and herpes simplex) Protozoa (Cryptosporidium, Isospora belli, Microsporida, and Blastocystis hominis) may also play a role Agents transmitted venereally per rectum (e.g., Neisseria gonorrhoeae, Treponema pallidum, Chlamydia) may contribute to proctocolitis. Ref: Camilleri M., Murray J.A. (2012). Chapter 40. Diarrhea and Constipation. In D.L. Longo, A.S. Fauci, D.L. Kasper, S.L. Hauser, J.L. Jameson, J. Loscalzo (Eds), Harrison's Principles of Internal Medicine, 18e.